True about Apoptosis all EXCEPT:
1. Annexin 5 is marker
2. Inflammation is present
3. Cell shrinkage
4. Clumping of chromatin

Correct answer: 2. Inflammation is present

Explanation: ANSWER: (B) Inflammation is presentREF: Robbin's 7th edition, p. 21,27, and 31Indirect repeat from June 2008 8c June 2009See APPENDIX-27 for "APOPTOSIS VS NECROSIS"